What is the type of joint between the ossicles of ear
1. Fibrous joint
2. Primary cartilaginous
3. Secondary cartilaginous
4. Synovial joint

Correct answer: 4. Synovial joint

Explanation: There are three articulations of the auditory ossicles: Incudomalleolar joint - synovial joint between the head of the malleus (posterior side) and the body of the incus. Incudostapedial joint - synovial joint between the lenticular process of the long limb of the incus and the head of the stapes. Ref- Dhingra textbook for ENT 6th edition.